In which of the following conditions the lead pipe appearance of the colon on a barium enema is seen -
1. Amoebiasis
2. Ulcerative colitis
3. Tuberculosis of the colon
4. Crohn's involvement of the colon

Correct answer: 2. Ulcerative colitis